Sentinel lymph node biopsy is done if -
1. Metastatic breast ca
2. Lymph node palpable
3. Breast mass but no lymph node palpable
4. Breast lump with palpable axillary lymph node

Correct answer: 3. Breast mass but no lymph node palpable

Explanation: Ans. is 'c' i.e., Breast mass but no lymph node palpable Sentinel lvmph node biopsyo Now Sentinel lymph node biopsy is considered the standard for evaluation of the axillary lymph nodes for metastasis in women who have clinically negative lymph nodes, (the sentinel lymph node is the first regional lymph node to receive tumor cells that metastasize along the lymphatic pathway from the primary breast cancer)o SLN biopsy is usually done intraoperatively by using isosulphan blue dye (lymphazurin) or radioactive colloid. Accuracy in detection of SLN is best when both the methods are combinedo When radioactive colloid is used, the SLN is detected by a gamma-camerao The blue dye colours the afferent lymphatics and the SLN, hence aids in the identificationSLN Biopsy (for breast ca) is contraindicated ino Palpable lymphadenopathyo Prior axillary surgery, chemotherapy or radiation therapyo Multifocal breast cancers